Methemoglobinemia is caused by:
1. Prilocaine
2. Ropivacaine
3. Bupivacaine
4. Procaine

Correct answer: 1. Prilocaine

Explanation: Ans. (A) Prilocaine(Ref: Katzung 11th/e p449)The administration of large doses (>10mg/kg) of prilocaine during regional anesthesia may lead to accumulation of the metabolite o-toluidine, an oxidizing agent capable of converting hemoglobin to methemoglobin.The treatment of methemoglobinemia involves the intravenous administration of reducing agents (eg. methylene blue or ascorbic acid), which rapidly convert methemoglobin to hemoglobin.